Lump in the throat not interfering with swallowing-
1. Globus hystericus
2. Cervical spondylosis
3. Pharyngeal diverticula
4. Carcinoma esophagus

Correct answer: 1. Globus hystericus

Explanation: Globus hystericus, also known as globus pharyngeus or globus sensation, is feeling of lump in one's throat with normal swallowing, i.e., no dysphagia.